Wernicke-Korsakoff's syndrome is due to the deficiency of:
1. Pyridoxine
2. Thiamine
3. Vitamin B12
4. Riboflavin

Correct answer: 2. Thiamine

Explanation: Ans. Thiamine